Which of these is true about bronchopulmonary segment?
1. Nonresectable
2. Spherical in shape
3. Artery is intersegmental
4. Pulmonary veins are intersegmental

Correct answer: 4. Pulmonary veins are intersegmental

Explanation: Ans. D Pulmonary veins are intersegmentalRef: Gray's Basic Anatomy E-book, P 87* It is a subdivision of a lung lobe,* It is pyramidal in shape, its apex lies toward the root, while its base lies on the lung surface.* It is surrounded by connective tissue septa.* It has a segmental, bronchus, a segmental artery, lymph vessels, and autonomic nerves.* The segmental vein lies in the intersegmental CT septa between the segments.* A diseased segment can be removed surgically, because it is a structural unit.